In forceful inversion of foot, fracture of the tuberosity of 5th metatarsal is due to pull exerted by which tendon:
1. Peroneus longus
2. Peroneus brevis
3. Peroneus tertius
4. Extensor digitorum

Correct answer: 2. Peroneus brevis

Explanation: Ans. is 'b' i.e. Peroneus brevis Tuberosity or tubercle at the base of 5th metatarsal gives attachment to the peroneus brevis tendon.The base of the fifth metatarsal can be fractured during forced inversion of the foot (pot-hole injury), at which time the tendon of peroneus brevis muscle exerts a pull on the tuberosity.Also knowFracture of the base of 5 th metatarsal bone is k/a - Jone's fracture.Peroneus longus is inserted at - Lateral side of the base of 1st metatarsal bone & adjoining part of the medial cuneiform bonePeroneus tertius is inserted at - medial part of the dorsal surface of the base and the medial border of the shaft of 5th metatarsal bone.